Treatment of vernal keratoconjunctivitis includes ail except -
1. Steroids
2. Chromoglycate
3. Olopatadine
4. Antibiotics

Correct answer: 4. Antibiotics

Explanation: Ans. is 'd' i.e., AntibioticsTreatment of vernal keratoconjunctivitiso Steroidso Mast cell stabilizers as di-sodium-chromoglycate and olopatadine & idoxamide tromethamine.o Topical antihistaminics, cyclosporine vasoconstrictor like nephazoline.